The nucleus of basal ganglia
1. Dentate
2. Thalamus
3. Caudate
4. Red nucleus

Correct answer: 3. Caudate

Explanation: Basal ganglia
-        Caudate nucleus
-        Putamen
-        Globus pallidus
-        Subthalamic nucleus
-        Substantia nigra